Slow wave sleep associated with:
1. Dreams
2. Cardiac arrhythmia
3. Penile intumescence
4. Delta activity

Correct answer: 4. Delta activity

Explanation: D i.e. Delta activity